Not a vessel wall condition leading to bleeding -
1. Henocb-schonleinpurpura
2. Autoimmune thrombocytopenic purpura
3. Cushing's syndrome
4. Scurvy

Correct answer: 2. Autoimmune thrombocytopenic purpura

Explanation: Ans. is 'b' i.e., Autoimmune thrombocytopenic purpura Bleeding disorders caused bv vessel wall abnormalities are as follows :-o Infections: meningococcemia, rickettsioseso Drug induced leukocytoclasticvasculitiso Scurvy, EhlerDanlos syndrome, Cushing's syndromeo Henoch-Schonleinpurpurao Hereditary' hemorrhagic telangiectasia (Weber-Osler-rendu syndrome)o Perivascular amyloidosisNote : Autoimmune thrombocytopenic purpura is a bleeding disorder primarily caused due to thrombocytopenia.